Desensitization is a type of
1. Psychotherapy
2. Psychoanalysis
3. Behavioural therapy
4. Psycodynamic therapy

Correct answer: 3. Behavioural therapy

Explanation: BEHAVIOUR THERAPY : Systematic Desensitization, Therapeutic-Graded Exposure, flooding, Participant, Modeling, Assertiveness Training, Social Skills Training, Aversion Therapy, Eye Movement Desensitization and Reprocessing(EMDR)* Systematic Desensitization (Wolpe) based on counterconditioning, therapy for all types of phobia is exposure it can be done by several means systemic sensitization works on the mechanism of graded exposure along with relaxation flooding is a technique involved sudden and reapid exposure and extinction of phobia in systemic desensitization, the main steps that are invoved are mainly introducing a step ladder and combining it with relaxation and hence helps them to overcome that particular phobia this method of systemic desensitization was given by Joseph Wolpe a person overcomes maladaptive anxiety elicited by a situation or an object by approaching the feared situation gradually in a state of complete relaxation and are then exposed to the stimulus that elicits the anxiety response. The negative reaction of anxiety is inhibited by the relaxed state, a process called reciprocal inhibition. Indications: Phobias, obsessions, compulsions, and certain sexual disorders Reference: P.2789 30.3 Behavior Therapy(Kaplan & Sadock's Comprehensive Textbook of Psychiatry, 9th Edition)